Most important mediator of chemotaxis is:
1. C3b
2. C5a
3. C5-7
4. C2

Correct answer: 2. C5a

Explanation: Role of different mediators in Inflammation